Lucid interval is associated with?
1. SDH
2. EDH
3. SAH
4. Cerebral lacerations

Correct answer: 2. EDH

Explanation: Ans. is 'b' i.e., EDHo Lucid interval is a state of consciousness between two episodes of unconsciousness in sub acute/chronic epidural haemorrhage. It is significant that during this period (lucid interval), the person can : (i) Make a valid will, (ii) Can give valid evidence, and (iii) Is legally responsible for act done (civil/criminal).o Lucid interval is also seen in insanity, i.e. the period of sanity between two phases of insanity.o Repeat from previous sessions.